A 60-year-old man is being weaned from a ventilator in the ICU. The likelihood that weaning is going to fail is suggested by the presence of which of the following?
1. A respiratory rate of 24 breaths/min
2. A PaO2 of 80 mm Hg on FiO2 of 40%
3. A vital capacity (VC) of 5 mL/kg body weight
4. A minute ventilation of 8 L/min

Correct answer: 3. A vital capacity (VC) of 5 mL/kg body weight

Explanation: Vital capacity (VC) of 5 mL/kg body weight.Successful weaning from the ventilator is suggested by the presence of(a) PaO2 of 70 mm Hg or more with an FiO2 of0.35 or less(b) An alveolar arterial gradient of <350 mm Hg(c) A PaO2 -to-FiO2 ratio of >200(d) A PaCO2 of over 30 mm Hg and <55 mm Hg(e) A VC of more than 10-15 mL/kg(f) A maximum negative inspiratory force of more than -25 cm H2 O(g) A minute ventilation of <10 L/min(h) A tidal volume of over 5 mL/kg(i) A respiratory rate of <30 breaths/min